All of the following are features of an injury to the cervical sympathetic trunk EXCEPT:
1. An hydrosis
2. Enophthalmos
3. Mydriasis
4. Ptosis

Correct answer: 3. Mydriasis